What is the refractive status of a newborn?
1. Myopic
2. Hypermetropic
3. Astigmatic
4. Emmetropic

Correct answer: 2. Hypermetropic

Explanation: (b) HypermetropicRef: Khurana 6/e, p. 13Eye at birthNewborn is Hypermetropic by +2 to +3 D Anteroposterior diameter is smaller (70% of adult) - 16.5 mm Corneal horizontal diameter is smaller - 9.5 to 10 mm Tears are not secreted AC is shallow